True about aetiopathogenesis of Alzheimers disease-a) Absence of tau proteinb) Involvement of Apolipoprotein Ec) Preseneline-1and 2 involved  d) Mutation in chromosome 21e) Preseneline 2 is not involved
1. abc
2. bcd
3. ac
4. bd

Correct answer: 2. bcd